Joint erosions are typically absent in:`
1. Rheumatoid arthritis
2. Systemic lupus erythematosus
3. Psoriatic arthritis
4. Osteoarthritis

Correct answer: 2. Systemic lupus erythematosus

Explanation: Arthritis seen in SLE is Non-erosive arthritis (without deformity).